Strongest flexor of the hip joint is:
1. Sartorius
2. Gluteus maximus
3. Iliopsoas
4. Pectineus

Correct answer: 3. Iliopsoas

Explanation: Iliopsoas is the chief Flexor at hip joint, assisted by Sartorius and Pectineus as the accessory muscles. Gluteus Maximus is the chief Extensor at hip joint, assisted by hamstrings as the accessory muscles.